Is not true about soft exudates (cotton wool patches on retina):
1. Are a sign of retinal hypoxia
2. Formed due to swelling of nerve fibre layer
3. Frequently change their shape
4. In late stages are converted into hard exudates

Correct answer: 4. In late stages are converted into hard exudates

Explanation: Ans. In late stages are converted into hard exudates